RDS in Neonate is due to deficiency of?
1. Sphingomyelin
2. Ceramide
3. Dipalmitoyl
4. All of above

Correct answer: 3. Dipalmitoyl

Explanation: Ans. is 'c' i.e., dipalmitoyl HMD (Respiratory distress syndrome) Primary seen in : PRETERM Baby of diabetic mother Multiple birth LSCS delivery Birth asphyxia Incidence in preterm inversely related to gestational age and birth weight. Primary cause - Surfactant deficiency leads to atelectatic lung. Major constituent of surfactant - la Dipalmitoyl phosphatidylcholine (lecithin) Phosphatidylglycerol A protein Cholesterol Synthesized and stored in type II alveolar cell. X-ray fine granuloreticular pattern with air bronchogram